In a 9- year-old child, caries is commonly seen on:
1. Occlusal surface of lower permanent first molar
2. Occlusal surface of upper permanent first molar
3. Distal surface of lower permanent first molar
4. Mesial surface of upper permanent first molar

Correct answer: 1. Occlusal surface of lower permanent first molar